A Pt. is presented with a metallic foreign body in eye. Which investigation shoul not done:
1. MRI
2. USG
3. X-ray
4. CT

Correct answer: 1. MRI

Explanation: Ans: A (MRI) Table(Harrison)Common Contraindications to MR ImagingCardiac pacemaker or permanent pacemaker leadsInternal defibrillatory deviceCochlear prosthesesBone growth stimulatorsSpinal cord stimulatorsElectronic infusion devicesIntracranial aneurysm clips (some but not all)Ocular implants (some) or ocular metallic foreign bodyMcGee stapedectomy piston prosthesisOmniphase penile implantSwan-Ganz catheterMagnetic stoma plugsMagnetic dental implantsMagnetic sphinctersFerromagnetic JVC filters, coils, stents--safe 6 weeks after implantationTattooed eyeliner (contains ferromagnetic material and may irritate eyesMRI should used be used cautiously in the 1st trimester of pregnancy because it is the time of organogenesis of the fetus. It is done for confirmation of fetal intra uterine malformation.- Sutton 7th /1066